Infective form of Trypanosoma
1. Promastigote
2. Metacyclic Trypomastigotie
3. Pseudocyst
4. None of the above

Correct answer: 2. Metacyclic Trypomastigotie

Explanation: Infective form: Metacyclic Trypomastigotes.